Remnant of rostral neuropore is -
1. Septum transversum
2. Ligamentusteres
3. Lamina terminalis
4. Cerebellum

Correct answer: 3. Lamina terminalis

Explanation: Ans. is 'c' i.e.,Lamina terminalisThe cranial open end of neural tube is called as rostral (anterior) neuropore which closes on or before day 26 giving rise to lamina terminalis of brain.